The sensitive stain used to stain copper in Wilson's disease is:
1. Timms sulfide
2. Rhodamine
3. Rubeanic acid
4. Trichrome stain

Correct answer: 1. Timms sulfide

Explanation: The copper is stained with rhodamine and rubeanic acid stains. More sensitive stain used is TIMMS SULFIDE. It is more effective in detecting cytoplasmic copper binding proteins. Trichrome stainning is used to show fibrous tissue. ALSO KNOW: The rhodanine stain is used to demonstrate excess copper in hepatocytes in Wilson's disease and also to demonstrate copper deposition in chronic biliary diseases. Ref: Schiffs disease of liver, Edition-11, Page-812